Growth disturbance, nonunion, elbow instability & late ulnar nerve palsy is commonly seen in
1. Fracture supracondylar humerus
2. Fracture medial condyle
3. Fracture lateral condyle
4. Fracture head radius

Correct answer: 3. Fracture lateral condyle

Explanation: C i.e. Fracture lateral condyle Milch Classification of Fracture Lateral Condyle Humerus Mitch type I (Salter Harris type IV) - Less common type - Fracture running through the secondary ossification centre of capitullum and entering the joint lateral to capitulotrochlear groove Cause growth defectQ Mitch type II (Salter Harris type II (?) IV (?)) - Commonest - Fracture starting in metaphysis and running along the physis of lateral condyle into trochlear i.e. fracture extends medial to capitulotrochlear groove. - Make ulnar - humeral (elbow) joint unstableQ. * If the lateral condyle is left capsized nonunion is inevitableQ : with growth elbow becomes increasingly valgus and tardy ulnar nerve palsyQ is then likely to develop.